Most abundant free nucleotide in a mammalian cell ?
1. ATP
2. dATP
3. GTP
4. AMP

Correct answer: 1. ATP

Explanation: Most abundant free nucleotide in a mammalian cell is ATP